Which hag among the following shouldn't be incinerated as it contains cadmium?
1. Blue
2. Red
3. Black
4. Yellow

Correct answer: 2. Red

Explanation: Ans. is 'b' i.e., Red Red bags must not be incinerated as red colour contains cadmium, which causes toxic emissions.